True about cardiac O2 demand is-
1. Directly proportional to mean arterial pressure
2. Inversely proportional to heart rate
3. Inversely proportional to cardiac work
4. Has a constant relation to the external work done by the heart

Correct answer: 1. Directly proportional to mean arterial pressure

Explanation: Ans. (a) Directly proportional to mean arterial pressureRef: Ganong, 25th ed/p.612Myocardial oxygen consumption is directly proportional to mean arterial pressure